All of the following maintain the stability of ankle joint, EXCEPT?
1. Cruciate ligament
2. Shape of the bones
3. Tendons of muscle which cross the joint
4. Collateral ligament

Correct answer: 1. Cruciate ligament

Explanation: Cruciate ligaments occur in the knee. There are two cruciate ligaments in the knee: the anterior and the posterior. These ligaments are two strong, rounded bands that extend from the head of the tibia to the intercondyloid notch of the femur. The ACL is lateral and the PCL is medial. They maintain the stability of the knee joint.